4 year old male, recurrent URTI, has difficulty breathing, High arched palate, Failure to grow and impaired hearing, management is
1. Tonsillectomy
2. Adenoidectomy
3. Antibiotics and nasal decongestants
4. Adenoidectomy with grommet insertion

Correct answer: 4. Adenoidectomy with grommet insertion